Most abundant glycoprotein present in basement membrane is:
1. Laminin
2. Fibronectin
3. Collagen type-4
4. Heparan sulphate

Correct answer: 1. Laminin

Explanation: Laminin is the most abundant glycoprotein in basement membrane. It has multiple receptor domains in extra cellular matrix. Besides mediating attachment to basement membrane, laminin can also modulate cell proliferation, differentiation, and motility. It connects cells to underlying ECM components such as type IV collagen and heparan sulfate. Other glycoproteins are: Fibronectin Integrin